Which of the following is an X-linked Recessive disorder?
1. Hemophilia A
2. Sickle cell anemia
3. Thalassemias
4. von Willebrand disease

Correct answer: 1. Hemophilia A

Explanation: DisorderMendelian disorderHemophilia AX-Linked RecessiveSickle cell anemiaAutosomal RecessiveThalassemiasAutosomal Recessivevon Willebrand diseaseAutosomal DominantRef: Robbins and Cotran Pathologic Basis of Disease; 9th edition; Chapter 5; Genetic Disorders; Page no: 142